True statement about hydrocephalus is
1. Macewen sign seen
2. Sun rise sign of eyes is seen
3. Most common cause is Dandy - waler malformation
4. All of the above

Correct answer: 1. Macewen sign seen

Explanation: Hydrocephalus

Most common cause is Aqueductal stenosis
Macewen sign is cracked pot sound produced on percussion of skull in raised intracranical tension.
"Sun set" sign of eyes seen.